Type of injury in which depth of wound is more than the width is called as:
1. Slash
2. Stab
3. Contusion.
4. Laceration.

Correct answer: 2. Stab

Explanation: In slash cut wound is longer than the depth.